Structure passing through the greater sciatic foramen are all of the following except `
1. Pyriformis
2. Superior gluteal nerve
3. Inferior gluteal nerve
4. Obturator internus tendon

Correct answer: 4. Obturator internus tendon

Explanation: Structure passing through lesser sciatic notch Tendon of obturator internus Pudendal nerve Nerve to obturator internus Internal pudendal artery